Calcium does not bind to
1. Tropomyosin
2. Calmodulin
3. Troponin
4. None

Correct answer: 1. Tropomyosin

Explanation: Tropomyosin-A protein that binds to and stabilizes actin filaments in cells. In skeletal and cardiac muscle cells, tropomyosin is released after interacting with troponin and calcium, facilitating the binding of actin to myosin that causes muscle contraction.Calmodulin- a calcium-binding protein present in all nucleated cells, thought to be an essential mediator of most calcium-sensitive cellular processes.Troponin- a complex of muscle proteins which, when combined with Ca++, influence tropomyosin to initiate contraction.Ref: Ganong's review of medical physiology; 24th edition; page no:-378